Only laryngeal muscle that is innervated bidirectionally is
1. Vocalis
2. Posterior cricoarytenoid
3. Lateral cricoarytenoid
4. Interarytenoid

Correct answer: 4. Interarytenoid

Explanation: - Interarytenoid muscle is an unpaired muscle in the centre between the 2 arytenoid cartilages and is innervated bidirectionally.